A primigravida in 2nd trimester became positive for toxoplasmosis. Vertical transmission of toxoplasmosis MOST commonly occurs in which trimester?
1. 1st trimester
2. 2nd trimester
3. 3rd trimester
4. During delivery

Correct answer: 3. 3rd trimester

Explanation: In pregnancy, if the mother becomes infected during the first trimester, the incidence of transplacental infection is lowest (15%), but the disease in the neonate is most severe. If maternal infection occurs during the third trimester, the incidence of transplacental infection is greatest (65%), but the infant is usually asymptomatic at birth. Infected infants who are normal at birth may have a higher incidence of learning disabilities and chronic neurologic sequelae than uninfected children. Ref: Kim K., Kasper L.H. (2012). Chapter 214. Toxoplasma Infections. In D.L. Longo, A.S. Fauci, D.L. Kasper, S.L. Hauser, J.L. Jameson, J. Loscalzo (Eds),Harrison's Principles of Internal Medicine, 18e.